Follicular carcinoma of thyroid is due to mutation of:
1. RAS
2. HGF
3. RET
4. ABL

Correct answer: 1. RAS

Explanation: Genes implicated in FCT: p53, PTEN, Ras, PAX8/PPAR1. Oncogenes and Tumour-suppressor Genes implicated in Thyroid Tumorigenesis Gene Function Tumor Oncogenes RET Membrane receptor with tyrosine kinase activity Sporadic and familial MTC, PTC (RET/PTC rearrangements) MET Same Overexpressed in PTC TRK1 Same Activated in some PTC TSH-R Linked to heteromeric G protein Hyperfunctioning adenoma Gs (gsp) Signal transduction molecule (GTP binding) Hyperfunctioning adenoma, follicular adenoma Ras Signal transduction protein Follicular adenoma and carcinoma, PTC PAX8/PPAR1 Oncoprotein Follicualar adenoma, Follicular carcinoma B-Raf (BRAF) Signal transduction PTC, tall cell and poorly differentiated, anaplastic Tumor suppressors p53 Cell cycle regulator, arrests cells in G1, induces apoptosis De-differentiated PTC, FTC, anaplastic cancers p16 Cell cycle regulator, inhibits cyclin dependent kinase Thyroid cancers cell lines PTEN Protein tyrosine phosphatase Follicular adenoma and carcinoma Ref: Sabiston 20th edition Pgno: 901